Which of the following helps in detection of horizontal movement of head-
1. Middle ear
2. Cochlea
3. Utricle
4. Endolymphatic sac

Correct answer: 3. Utricle

Explanation: Ans. is 'c' i.e., Utricle MovementResponsive part of inner ear1) Angular / RotationalSemicircular canal2) Linear # Horizontal# VerticalUtricleSacculeSense of gravity and position of head.Saccule & utricle